Like scale is:
1. Ordinal
2. Nominal
3. Variance
4. Categorical

Correct answer: 1. Ordinal

Explanation: Ordinal